Lathyrism is caused by -
1. Khesaridal
2. Aflatoxins
3. Aspergillus
4. Fluoride

Correct answer: 1. Khesaridal

Explanation: Ans. is 'a' i.e., Khesari Dal o Lathyrism is caused by lathyrus sativus, commonly known as "Khesari dhal."o The toxin present in lathyrus seeds has been identified as Beta oxalyl aminoalanine (BOAA).DiseaseToxinAdulterantLathyrism Epidemic DropsyEndemic AscitesAflatoxicosisErgotismBOAASanguinarinePyrrolizidine alkaloidsAflatoxinClavine alkaloidsKhesari Dal (Lathyrus sativus)Argemone mexicana (oil)Crotolaria seeds (Jhunjhunia)Aspergillus flavus/parasiticusClaviceps fusiformis